Acute conjunctivitis is caused by all except
1. Adenovirus
2. Cytomegalovirus
3. Enterovirus 70
4. Coxsackie 24

Correct answer: 2. Cytomegalovirus

Explanation: Ocular manifestation of cytomegalovirus is posterior uveitis Refer: Khurana 6th edition page number 76